Which of the following is not an essential amino add?
1. Methionine
2. Tryptophan
3. Leucine
4. Alanine

Correct answer: 4. Alanine

Explanation: ANSWER: (D) AlanineREF: Harper 27th ed chapter 3Repeat Biochemistry December 2010